The drug which can be considered as an alternative for splenectomy in severe autoimmune hemolytic anemia is:
1. Adalimubab
2. Eculizumab
3. Rituximab
4. IV immunoglobulin

Correct answer: 3. Rituximab

Explanation: Rituximab is effective in more than 80% of patients with severe autoimmune hemolytic anemia not responding to steroids. Ref: Harrison's principles of internal medicine, 18th edition ; Page :882.